The single most effective drug in eclampsia is:
1. Dilantin
2. Phenobarbital
3. Magnesium sulphate
4. Paraldehyde

Correct answer: 3. Magnesium sulphate

Explanation: Ans. C i.e. Magnesium sulphate Hypertension & pregnancy Earliest sign is: Raised BP Can be predicted by: Gant's Rolling over test Eclampsia is defined as: - Convulsions - HTN, - Proteinuria & - Edema MC eclampsia is: Antepartum Cause of convulsion in eclampsia is: Cerebral anoxia Earliest symptom of PIH: Rapid gain in weight Sudden loss of vision in PIH is due to: Retinal detachment Treatment for eclampsia: Magnesium sulphate Toxicity of MgSO4 is monitored by: - Urinary output, - Respiratory rate, - Knee jerk DOC in severe pre-eclampsia: Labetalol Complications of pre-eclampsia: - Eclampsia - Cerebral hemorrhage, - Pulmonary hemorrhage etc